Commonest position of the appendix -
1. Retrocecal
2. Preileal
3. Postileal
4. Pelvic

Correct answer: 1. Retrocecal